The culture media used for cultivation of HSV is
1. Chocolate agar
2. Robertson's cooked-meat broth
3. Chorio allantoic membrane
4. Sabourad's agar

Correct answer: 3. Chorio allantoic membrane